Actinomyces pelvic infection is most associated with?
1. STDs
2. Unsafe abortions
3. Immuno - compromised patients
4. IUCD users.

Correct answer: 4. IUCD users.

Explanation: Infection is caused by Actinomyces israelii, a grampositive anaerobe. It may be associated in IUCD users more with noncopper devices.